Commonest metastasis in Renal Cell Carcinoma is to
1. Lung
2. Bone
3. Adrenal
4. Liver

Correct answer: 1. Lung